Osmolarity of ReSoMal-
1. 200
2. 300
3. 311
4. 350

Correct answer: 2. 300

Explanation: Ans. is 'b' i.e., 300 ReSoMal (Rehvdration Solution for Severely Malnourished Child) o This represents the oral rehydration fluid recommended by WHO for severely undernourished children. o These children are deficient in potassium and have relatively high levels of sodium. o ReSoMal solution is therefore specifically designated with a lower sodium concentration and higher potassium concentration to meet the electrolyte needs of these children.